Chronic use of systemic steroids most commonly leads to which ocular complication?
1. Cataract
2. Glaucoma
3. Uveitis
4. Conjuctival and lid papillomatosis

Correct answer: 1. Cataract

Explanation: Ans. (a) CataractRef Khurana 4/e, p. 428Injudicious use of systemic steroids leads to following ocular complication:* Cataract* Delayed wound healing* Infections of eye* Papilloedema* CRVO* Glaucoma is more often associated with topical ocular or periocular steroids